Ramsay Hunt syndrome involves:
1. 7th cranial nerve
2. 5th cranial nerve
3. 12th cranial nerve
4. 10th cranial nerve

Correct answer: 1. 7th cranial nerve

Explanation: Ans: a (7th cranial nerve) Ref: Harrison, 16th ed, p. 1043; Dhingra, 4th ed, p. 95,17th ed, p. 1103Ramsay Hunt syndrome (Herpes zoster oticus)Ipsilateral facial nerve palsy with vesicular rash in external auditor)' canal and pinna.Geniculate ganglion of sensory branch of facial nerve is involvedManagement: similar to Bell's palsyMelkersson's syndrome:Idiopathic disorder consisting of triad of facial paralysis, swelling of lips and fissured tongue.It may be recurrent.Treatment is similar to Bell palsyCauses of recurrent facial palsiesBell palsyMelkersson syndromeDiabetesSarcoidosisTumoursGuillain -Barre syndromeSarcoidosisSickle cell diseaseAcute leukemiaBulbar palsyLeprosy